The lymphocytic and histiocytic variant of Reed?Sternberg cell is seen in -
1. Follicular center lymphoma
2. Lymphocyte depleted Hodgkin's disease
3. Nodular sclerosis Hodgkin's disease
4. Lymphocyte predominant Hodgkin's disease

Correct answer: 4. Lymphocyte predominant Hodgkin's disease

Explanation: Ans. is 'd' i.e., Lymphocyte predominant Hodgkins diseaseo Identification of Reed-Sternberg cells and their variants is essential for histological diagnosis.Classical Reed Sternberg cells o Large cellso Have multiple nuclei or single nucleus with multiple lobes.o Each lobe contains large inclusion like nucleolus about the size of small lymphocytes.o Several variants of Reed-sternberg cells are also recognized.B. Variants of Reed-Sternberg cells (i) Mononuclear varianto Same like RS cells but is mononucleated.o Mainly present in mixed cellularity type.(ii) Lacunar cellso Hyperlobated nucleus, multiple small nuclei and eosinophilic cytoplasm which is refrasted around the nucleus creating an empty space called lacunae.o Mainly present in Nodular sclerosis type.(iii) Lympho-histocytic variant (L & H cells)o Cells with polypoid nuclei resembling popcorn kernels --> also called popcorn cells.o Mainly present in lymphocytic predominance type.(iv) Pleomorphic varianto Mainly present in lymphocytic depletion type.Note :Atypical histiocytes known as hodgkins cells are present in lymphocytic depletion type.